Casal's Necklace is seen in deficiency of
1. Vitamin A
2. Vitamin B3
3. Vitamin B6
4. Vitamin D

Correct answer: 2. Vitamin B3

Explanation: Pellagra Pellagra occurs due to Vitamin B3 (Niacin) deficiency Pellagra is characterized by by 4D's : 1.Diarrhoea 2.Dermatitis 3.Dementia 4.Death. Skin rash in Pellagra may appear as pigmented and scaly in areas exposed to sunlight. Especially neck when it is known as 'Casal's Necklace' Ref: Park 25th edition Pgno : 657 Harrison's 15th edition Pgno : 463